Toxin of Epidemic dropsy is:
1. BOAA
2. Sanguinarine
3. Alkaloid
4. Ergot

Correct answer: 2. Sanguinarine

Explanation: Ans. (b) SanguinarineRef: K. Park 23sted. /658* EPIDEMIC DROPSY is caused by contamination of mustard oil with Argemone oil (seeds of argemone Mexicana seeds closely resembles to that of mustard oil)* Toxin which is contained in argemone oil is Sanguinarine* This sanguinarine interferes with oxidation of Pyruvic acid, which leads to accumulation of pyruvic acid in blood.* This may cause non-inflammatory edema of lower limbs, diarrhea, dyspnea and even cardiac failure and death.Also KnowFood Adulteration diseases and their toxinsDiseaseToxinAdulterantLathyrismBOAAKhesari DalEpidemic dropsySanguinarineArgemone oilEndemic ascitesPyrrolizidine alkaloidsCrotolaria seedsErgotismErgot/clavinet alkaloidsClaviceps fusiformisAflatoxicosisAflatoxinsAspergillus flavus